False about p53 is -
1. It is present on chromosomes 17
2. It causes cell cylce arrest in G1
3. 53 KDa
4. Non mutated wild p53 is associated with neoplasm in childhood

Correct answer: 4. Non mutated wild p53 is associated with neoplasm in childhood